Ortolani test is positive when the examiner hears the -
1. Clunk of entry on extension and adduction of hip
2. Clunk of entry on abduction and flexion of hip
3. Click of exit on abduction and flexion of hip
4. Click of exit on extension and adduction of hip

Correct answer: 2. Clunk of entry on abduction and flexion of hip

Explanation: The hip and knee are held in a flexed position and gradually abducted.A click of entrance will be felt as the femoral head slips into acetabulum from position of dislocation. This test indicates reduction of the dislocated hip.It is done between 3&9 months . Barlows test and ortolani test should be performed as screening test in all suspected CDH.